Treatment of choice of Carcinoma maxillary sinus with T3NOMO
1. Surgery
2. Radiotherapy
3. Surgery and Radiotherapy
4. Surgery and chemotherapy

Correct answer: 3. Surgery and Radiotherapy